All of the following enzymes are secreted by the exocrine pancreas except?
1. Trypsin
2. Chymotrypsin
3. Carboxy-peptidase
4. Pepsin

Correct answer: 4. Pepsin

Explanation: Ans. D. PepsinPrincipal Digestive Enzymes.*SourceEnzymeActivatorSubstrateCatalytic Function or ProductsSalivary glandsSalivary-amylaseCl-StarchHydrolyzes 1:4 linkageproducing -limit dextrins maltotriose, and maltoseLingual glandsLingual lipase TriglyceridesFatty acids plus 1,2-diacylglycerolsStomachPepsins (pepsinogens)HClProteins and polypeptidesCleave peptide bonds adjacent to aromatic amino acids Gastric lipase TriglyceridesFatty acids and glycerolExocrine pancreasTrypsin (trypsinogen)EnteropeptidaseProteins. and polypeptidesCleave peptide bonds on carboxyl side of basic amino acids (arginine or lysine) Chymotrypsin's(chymotrypsinogen)TrypsinProteins and polypeptidesCleave peptide bonds on carboxyl side of aromatic amino acids Elastase (proelastase)TrypsinElastin, some other proteinsCleaves bonds on carboxyl side of aliphatic amino acids Carboxypeptidase A (procarboxypeptidase A)TrypsinProteins and polypeptidesCleave carboxyl terminal amino acids that have aromatic or branched aliphatic side chains Carboxypeptidase B (procarboxypeptidase B)TrypsinProteins and polypeptidesCleave carboxyl terminal amino acids that have basic side chains Colipase (Pro colipase)TrypsinFat dropletsFacilitates exposure of active site of pancreatic lipase Pancreatic lipase...TriglyceridesMonoglyceride and fatty acids Bile salt-acid lipase Cholesteryl estersCholesterol Cholesteryl ester hydrolase...Cholesteryl estersCholesterol Pancreatic - amylaseCl-StarchSame as salivary - amylase Ribonuclease...RNANucleotides Deoxyribonuclease...DNANucleotides Phospholipase A2 (prophospholipase A2)TrypsinPhospholipidsFatty acids, lysophospholipidsIntestinal mucosaEnteropeptidase...TrypsinogenTrypsin Aminopeptidases...PolypeptidesCleave amino terminal amino acid from peptide Carboxypeptidases...PolypeptidesCleave carboxyl terminal amino acid from peptide Endopeptidases...PolypeptidesCleave between residues in midportion of peptide Dipeptidases...DipeptidesTwo amino acids Maltase...Maltose, maltotriose, dextrinsGlucose Lactase...LactoseGalactose and glucose Sucrase...Sucrose; also maltotriose and maltoseFructose and glucose Dextrinase...Dextrins, maltose maltotrioseGlucose Trehalase...TrehaloseGlucose Nuclease and related enzymes...Nucleic acidsPentoses and purine and pyrimidine basesCytoplasm of mucosal cellsVarious peptidases...Di-, tri-, and TetrapeptideAmino acids